Human development index (HDI) includes all except-
1. Adult literacy rate
2. Infant mortality rate
3. Per capital
4. Life expectancy at birth

Correct answer: 2. Infant mortality rate

Explanation: .human developmemt index is defined as a composite index combining i9ndicators such as life expectancy at birth,adult literacy rate and mean years of schooling and income real GDP per capita . ref:parks textbook,22nd ed,pg no 16